A 6-year-old girl presents with precocious puberty, some bony lesions & hyperpigmented skin lesions as shown below. What is the most probable diagnosis?
1. Prader Willi syndrome
2. Laurence Moon syndrome
3. Cushing syndrome
4. McCune-Albright syndrome

Correct answer: 4. McCune-Albright syndrome

Explanation: d. McCune-Albright syndromePrecocious puberty, polyostotic fibrous dysplasia & cafe au lait spots are features of McCune Albright syndrome